Dye used for myelography
1. Conray 320
2. Myodil
3. Dianosil
4. Iopaoic acid

Correct answer: 2. Myodil

Explanation: contrast agents used for myelography are : Iohexol Iopamidol Metrizamide Myodil